Boundries of foramen of Winslow is formed by all except ?
1. IVC
2. Liver
3. 2nd part of duodenum
4. Suprarenal gland

Correct answer: 3. 2nd part of duodenum

Explanation: Ans. is 'c' i.e., 2nd part of duodenum